Infundibulo pelvic ligament is also called as ?
1. round ligament of ovary
2. round ligament of uterus
3. mackenrodt's ligament
4. suspensory ligament of ovary

Correct answer: 4. suspensory ligament of ovary

Explanation: The part of the broad ligament that stretches from the upper pole of the ovary and the infundibulum of the uterine tube to the lateral pelvic wall is called the suspensory ligament of the ovary or the infundibulopelvic ligament. Ref : B D Chaurasia's Human Anatomy , seventh edition , volume 2 , pg. no., 415.